Xanthoma are associated with:
1. Diabetes
2. Hyperlipidemia
3. Hypertension
4. Immunoglobulins

Correct answer: 2. Hyperlipidemia

Explanation: (Hyperlipidemia): Ref: 307, 2059 - H (331-32, 2419-H17th)* Several systemic disorders are characterized by yellow coloured cutanoues papules or plaque:* Hyperlipidemia (Xanthomas)* Gout (tophi)* Diabetes {necrobiosis lipoidica)* Pseudoxanthoma elasticum {sebaceous tumours) and Torre syndrome* Eruptive xanthomas are the most common form of xanthomas, and are associated with hypertriglyceridemia (type I, III, IV, and V)* Xanthlasma are found in eyelids, where tendon xanthomas are frequently associated with the Achiles, and extensor finger nodules.* Tuberous xanthomas are frequently associated with hyper cholesterolemia (type II) and are found most frequently over the large joints or hand.* Myeloma - normolipemic flat xanthoma* Biliary cirrhosis - secondary form of hyperlipidemia with tuberous and planter xanthomas